In burns, heat loss is by/due to:
1. Dilatation of veins
2. Shock
3. Exposed area by evaporation
4. None of the above

Correct answer: 3. Exposed area by evaporation